Taste buds are absent in:
1. Filiform papillae.
2. Fungiform papillae.
3. Circumvallate papillae.
4. Folliate papillae.

Correct answer: 1. Filiform papillae.